Testamentary capacity is related to:
1. Negligence
2. Right to testify
3. Ability to make a will
4. Criminal responsibility

Correct answer: 3. Ability to make a will

Explanation: Testamentary capacity: refers to person's full sense and mental sanity to have confirmed and signed the Will after understanding what his assets comprised and what he is doing by making a Will. He understands in full mental capacity who he is naming the assets to and how are they related to him and what repercussions it may have later. Testamentary capacity is the legal status of being capable of excuting a Will. Ref: Principles of forensic medicine, Apurva nandy, 3rd Edition, Page 621